All of the following are TNF alpha inhibitors except
1. Infliximab
2. Adalimumab
3. Omalizumab
4. Etanercept

Correct answer: 3. Omalizumab

Explanation: Biological agents TNFa inhibitors:- Etanercept, Infliximab, Adalimumab. Omalizumab is an anti IgE antibody used in bronchial asthma Ref:- kd tripathi; pg num:-878